Buccal shelf lies between mandibular buccal frenum and the anterior edge of the
1. Buccinator muscle
2. Medial pterygoid muscle
3. Mylohyoid muscle
4. Masseter muscle

Correct answer: 4. Masseter muscle